Type of collagen absent in sclera ?
1. collagen 1
2. collagen 2
3. collagen 3
4. collagen 4

Correct answer: 2. collagen 2

Explanation: Type 2 is absent in sclera Type 1 is predominamt type of collagen found in sclera with haphazardous arrangement of collagens CORNEA- regular arrangement of collagen bundles of Type 1 (major) and type 3 (minor) in descemet's membrane -collagen type 4 is found.